Organs sensitive to radiation are – a) Gonadb) Bone marrowc) Liverd) Fate) Nervous tissue
1. ac
2. a
3. ab
4. bc

Correct answer: 3. ab